The triad of diabetes, gallstones and steatorrhoea is associated with which one of the following tumors?
1. Gastrinomas
2. Somastostationomas
3. VIPomas
4. Glucagonomas

Correct answer: 2. Somastostationomas

Explanation: Somatostatinoma syndrome is a triad of diabetes mellitus, diarrhea and gallstones, but also includes weight loss and hypochlorhydria.